Mental spines provide attachment to
1. Genioglossus
2. Anterior & posterior bellies of digastric
3. Mylohyoid
4. Superior constrictor of pharynx

Correct answer: 1. Genioglossus

Explanation: Mental spine also known as genial tubercle, is a small bony elevation found on the inner surface of mandible, in the midline.
There are 4 mental spines - superior and inferior pair.


Superior genial tubercle gives origin to genioglossus muscle of tongue.
Inferior genial tubercle gives origin to geniohyoid muscle.